For which malignancy, intensity Modulated Radiotherapy (IMRT) is the most suitable –
1. Lung
2. Prostate
3. Leukemias
4. Stomach

Correct answer: 2. Prostate

Explanation: Currently, IMRT is being used most extensively to treat cancers of the prostate, head & neck, and CNS.
Note:- IMRT has also been used in lung cancers, but only in limited situations